In spinal anesthesia which fibers are affected earliest?
1. Sensory
2. Motor
3. Sympathetic preganglionic
4. Vibration

Correct answer: 3. Sympathetic preganglionic

Explanation: Sympathetic preganglionic REF: Morgan 3rd e p-260 Order of blockade in spinal anesthesia: Autonomic preganglionic > Temperature > Prick > Pain > Touch > Pressure > Motor > Vibration